The ultrasonic sound waves employed in ultrasound machine for medical sonography have the frequency of
1. 2 - 20 MHz
2. Less than 1 MHz
3. 20-20,000 Hz
4. Greater than 100 MHz

Correct answer: 1. 2 - 20 MHz

Explanation: Frequency refers to a characteristic of the sound that is, the number of times that conduction particles vibrate back and forth per second. Frequency of sound waves is usually between 1 and 20 MHz in medical sonography. Hence the best answer for this question would be A. 2-20 MHz Christensen's Physics of Diagnostic Radiology, 4/E,Pg no 347